What is the main role of angiotensin II?
1. Increased TPR
2. Constriction of afferent renal arteriole
3. Decrease release of aldosterone
4. Diuresis

Correct answer: 1. Increased TPR

Explanation: Angiotensin 2 has 2 principal effects that can elevate arterial pressureVasoconstriction in many areas of body ie increases total peripheral resistance.Decreased excretion of salt and water.Angiotensin 2 constricts both afferent and efferent arterioles but efferent arteriole is more sensitive and hence constriction of efferent arteriole predominates.Angiotensin 2 causes release of aldosterone from adrenal glandsRef: Guyton and Hall, Textbook of medical physiology, 2nd South Asia Edition, page no. 273Textbook of medical physiology by N Geetha, 3rd edition, page no. 384